Capsule of the crystalline lens is thinnest at:
1. Anterior pole
2. Posterior pole
3. Equator
4. None of the above

Correct answer: 2. Posterior pole

Explanation: Ans. Posterior pole